Patient with a history of fall presents weeks later with headache and progressive neurological deterioration. the diagnosis is -
1. Acute subdural hemorrhage
2. Extradural hemorrhage
3. Chronic subdural hemorrhage
4. Fracture skull

Correct answer: 3. Chronic subdural hemorrhage